A patient complains of muscle weakness it was reversed on administration of neostigmine, because
1. It blocks the action of acetylcholine
2. It interfere with the action of monoamine oxidase
3. It interfere with the action of carbonic anhydrase
4. It interfere with action of acetylcholine esterases

Correct answer: 4. It interfere with action of acetylcholine esterases

Explanation: Refer katzung 11e p 105 neostigmine acts by inhibiting the enzyme acetylcholinesteresis This enzyme is involved in the degradation of acetylcholine, consequential neostigmine increases the synaptic level of acetylcholine. Muscle weakness can be improved with the stimulation of Nm receptors at muscle endplate due to increase the acetylcholine